The most common etiological agent for acute bronchiolitis in infancy is ?
1. Influenza virus
2. Para influenza virus
3. Rhinovirus
4. Respiratory syncytial virus

Correct answer: 4. Respiratory syncytial virus

Explanation: Ans. is 'd' i.e., Respiratory syncytial virus "The most common etiological agent for Bronchiolitis is Respiratory synctial virus. RSV is responsible for more than 50% of cases of bronchiolitis." Bronchiolitis o Bronchiolitis is the most common serious acute lower respiratory tract infection in infants and young children. o Most vulnerable group is between the ages of 1 and 6 months. o But the disease can affect children up to 2 years. o More common in males. Organisms causing bronchiolitis o Bronchiolitis is predominantly a viral disease. i) RSV (most common) ii) Parainfluenza virus 3, 1, 2 v) Mycoplasma pneumoniae iii) Adenovirus iv) Influenza virus